A rare disorder characterized by begin growth in the lymph node tissue throughout the body is called
1. Castleman's diseases
2. Heck's disease
3. Darter's disease
4. Crohn's disease

Correct answer: 1. Castleman's diseases